Incidence of caries in patients with Downs's syndrome is
1. Same as general population
2. Less as compared to general population
3. Greater as compared to general population
4. None of the above

Correct answer: 2. Less as compared to general population